MC anti-oxidant is:
1. Vitamin E
2. Vitamin D
3. Vitamin B
4. Vitamin K

Correct answer: 1. Vitamin E

Explanation: Ans. A i.e. Vitamin E Vitamin E is the collective name for a set of eight related tocoplzerols and tocotrienols, which are fat-soluble vitamins with antioxidant properties.